Capsulotomy after phacoemulsification is done using which one of the following methods?
1. Nd - YAG laser
2. Argon laser
3. CO2 laser
4. Krypton laser

Correct answer: 1. Nd - YAG laser

Explanation: The most common complication of adults having standard extracapsular surgery or phacoemulsification for cataract is clouding of the part of the lens capsule that remains after surgery, called posterior capsule opacification. It is corrected by laser surgery called Nd:YAG posterior capsulotomy. Nd:YAG stands for Neodymium:Yttrium-Aluminiyum-Garnet A Nd:YAG laser is used to cut a hole in the clouded back lining of the lens capsule to allow light to pass through the membrane to the retina at the back of the eye. CO2 laser is used for LASIK. Argon laser trabeculoplasty is using for open-angle glaucoma and photocoagulation. Krypton laser is used for photocoagulation.